Abduction of Hand is caused by ?
1. FCR
2. FCU
3. FDP
4. FDS

Correct answer: 1. FCR

Explanation: Ans. is 'a' i.e., FCR